Gas gangrene is caused by all except aEUR'
1. Cl. histolyticum
2. Cl. novyi
3. Cl. septicum
4. Cl. sporogenes

Correct answer: 4. Cl. sporogenes

Explanation: Cl. sporogenes Gas gangrene is characterized by rapid and extensive necrosis of muscle accompanied by gas formation and systemic toxicity. Gas gangrene is caused by following species of clostridium tetani :? - Clostridium perfringen (80%) - Clostridium septicum - Clostridium novyi - Clostridium histolyticum Incubation period of gas gangrene depends upon the causative organisms - Clostridium perfringens - 10-48 hrs - Clostridium septicum - 2-3 days Clostridium novyi - 5-6 days Laboratory diagnosis of Gas gangrene :? The diagnosis of gas gangrene must be made primarily on clinical grounds and the function of the laboratory is only to provide confirmation of clinical diagnosis as well as identification and enumeration of infecting organisms. Specimens:? - Tissue in the necrotic area - Tissue from the muscles at the edge of the affected area - Exudate from the active site of infection - Gram positive rods with few inflammatory cells Other diseases caused by clostridium species